Laminin is present in:
1. Lens
2. Basement membrane
3. Liver
4. Lungs

Correct answer: 2. Basement membrane

Explanation: Ans: b (Basement membrane)Ref: Robbin's, 7th ed, p. 105 & 6thed, p. 100